Most persuasive and effective media system for communication is:
1. Interpersonal communication
2. Mass Media(TV ,radio)
3. Folk media
4. Printed media

Correct answer: 1. Interpersonal communication

Explanation: Interpersonal Communication (IPC): "Face to face communication" is the most persuasive and effective than other forms of communication IPC is particularly useful for influencing the decisions of undecided persons Superiority of IPC over mass media has been well documented Ref: Park 25th edition Pgno: 926